A 65-year old male is brought to the outpatient clinic with one year illness characterized by marked forgetfulness, visual hallucinations, suspiciousness, personality decline, poor self care and progressive deterioration in his condition. His Mini Mental Status Examination (MMSE) Score is 10. His most likely diagnosis is:
1. Dementia
2. Schizophrenia
3. Mania
4. Depression

Correct answer: 1. Dementia

Explanation: A i.e. Dementia